Treatment of choice for acoustic neuroma-
1. Steroid
2. Radiotherapy
3. Anti-neoplastic drugs
4. Surgery

Correct answer: 4. Surgery